Rhinitis medicamentosa is due to
1. Nasal decongestants
2. Steroids
3. Surgery
4. Antihistaminics

Correct answer: 1. Nasal decongestants

Explanation: Rhinitis medicamentosa is due to the prolonged use of topical nasal decongestants like oxymetazoline and xylometazolineTreatment- Stoppage of the decongestants, topical and systemic steroids.Ref: Hazarika; 3rd ed; Pg 298